All are component of Obesity Surgery-Mortality Risk Score (OS-MRS) EXCEPT:
1. Age >45 yr
2. Type-2 DM
3. Hypertension
4. Male gender

Correct answer: 2. Type-2 DM

Explanation: Type-2 Diabetes mellitus is not a component of the Obesity Surgery-Mortality Risk Score (OS-MRS). Obesity Surgery-Mortality Risk Score (OS-MRS):clinically useful score to predict mortality risk in patients undergoing gastric bypass Risk factor Score Age >45 yr 1 BMI >50 kg/m2 1 Male gender 1 Hypertension 1 DVT/PE 1 Risk Category Score Post-op mortality A (Low) 0-1 0.3 B (Moderate) 2-3 1.7 C (High) 4-5 3.2